Which of the following will cause posterior impression on barium swallow:
1. ASD
2. VSD
3. Aberrant right subclavian artery
4. Pulmonary vascular hypertension

Correct answer: 3. Aberrant right subclavian artery

Explanation: Aberrant right subclavian artery produces the classical appearance of a posterior impression on the proximal esophagus and left sided aortic arch impression.